β-blockers with intrinsic sympathomimetic properties a) Propranolol b) Oxprenolol c) Pindolol d) Esmolol e) Butoxamine
1. ab
2. ae
3. ad
4. bc

Correct answer: 4. bc